All are true about Lesch-Nyhan syndrome except:
1. Hyperurecaemia
2. Intellectual disability
3. Stone production
4. Occur equally in both sexes

Correct answer: 4. Occur equally in both sexes

Explanation: Answer- D. Occur equally in both sexesA complete deficiency of HPRT, the Lesch-Nyhan syndrome, is characterized by hyperuricemia, self-mutilative behavior, choreoathetosis, spasticity, and intellectual disability.This is a rare X-linked disorder of purine metabolism that results from HPRT deficiency.The hyperuricemia results from urate overproduction and can cause uric acid crystalluria, nephrolithiasis, obstructive uropathy, and gouty arthritis.Affects Males only.Etiology- hereditaryTreatment-Allopurinol